True about Nissl granule:
1. Involves in RNA synthesis
2. Present in axon
3. Present in dendrite
4. All

Correct answer: 3. Present in dendrite

Explanation: C i.e. Present in dendriteNissl body (or granule)/ tigroid body is large rough endoplasmic reticulum (i.e. containing ribosomes), seen in soma and dendritesQ, of neurons but not in axon or axon hillockQ. They are the site of protein synthessiQ involved in for production of neurotransmitters such acetylcholine.Nissl body (or Nissl granule or Tigroid body)Named after Franz Nissl, a German neurologist Nissl body (or Nissl granule or tigroid body) is a large granular body found in the soma, (or perikaryon , or cyton, or cell body, the bulbous end of a neuron, containing the cell nucleus) and dendrites of neurons, though not in the axon or axon hillock.These granules are rough endoplasmic reticulum (with free ribosomes) and are the site of protein synthesis involved in the synthesis of neurotransmitters such as acetylcholine.Nissl bodies can be demonstrated by a method of selective staining developed by Nissl (Nissl staining), usingan aniline stain to label extranuclear RNA granules. This staining method is useful to localize the perikaryon / cell body, and dendrites of neurons. Due to RNA's basophilic ("base-loving") properties it is stained blue by this method. Nissl bodies show changes under various physiological conditions and in pathological conditions they may dissolve and disappear (karyolysis).